Superior vena cava opens into right atrium at the level of -
1. Tt
2. T3
3. T4
4. T5

Correct answer: 4. T5

Explanation: Ans. is 'd' i.e., T5o Superior vena cava commences at the lower border of the first right costal cartilage by confluence of the two brachiocephaiis veins.o It passes vertically downwards behind the right border of sternum and piercing the pericardium at the level of the second costal cartilage, enters the upper border of the right atrium to end in the upper and posterior part of sinus venorum at the lower border of third right costal cartilage (opposite T5).o Behind the sternal angle (at T4) level, SVC receives the azygos vein.